Killing of a 6 months old child by parents is known as -
1. Genocide
2. Infanticide
3. Neonatal homicide
4. Abortion

Correct answer: 2. Infanticide

Explanation: Ans. is 'b' i.e., Infanticide * Infanticide refers to killing a child after delivery, to till 1 year after birth. Infanticide in India is considered equivalent to murder and is tried under section 302IPC. Law considers every child as born dead and therefore in a case of infanticide, it has to be proved that the child was born alive and was then killed. Thus the first question in the investigation of a case of infanticide is, whether the child was still born or dead born or whether it was born live.* Still born : A still-born child is one which is born after 28 weeks of pregnancy and did not show sign of life after being completely born (i.e. he remains still -> so still birth). Child was alive in utero just before delivery but died during the process of birth.* Abortion refers to expulsion of the product of conception at any period of gestation before full term. Abortions may be1) Natural (spontaneous/accidental) abortion : Occurs naturally or spontaneously without any intervention.2) Artificial abortion : It occurs as results of direct interference with the pregnancy. Artificial abortion mayi) Legal (justifiable) abortion : It comes under medical termination of pregnancy (MTP) act.ii) Criminal abortion : It is illegal.